Laudanosine is the metabolite of:
1. Suxamethonium
2. Pancuronium
3. Atracurium
4. Vecuronium

Correct answer: 3. Atracurium

Explanation: Atracurium